True about Herpangina ; Except
1. Occurs in epidemics
2. Site specific (Occurs on pharynx)
3. Severe form than HSV
4. Gingivitis is absent

Correct answer: 3. Severe form than HSV